Which of the following formula of the drug dosage does not depend upon age:
1. Young's formula.
2. Clark's rule.
3. Cushing rule.
4. Cowing's formula.

Correct answer: 2. Clark's rule.

Explanation: Clark's rule depends upon the bodyweight of the child.